Most common presentation of Neurocysticercosh is
1. Seizures
2. Focal neurological deficits
3. Dementia
4. Radiculopathy

Correct answer: 1. Seizures

Explanation: (A) Seizures # NEUROCYSTICERCOSIS is the most common parasitic disease of the CNS worldwide.> Humans acquire cysticercosis by the ingestion of food contaminated with the eggs of the parasite T. solium,\> Eggs are contained in under cooked pork or in drinking water or other foods contaminated with human feces.> T. gondii is a parasite that is acquired from the ingestion of undercooked meat and from handling cat feces.> In cysticercosis, the clinical manifestations are variable.> Cysticerci can be found anywhere in the body but are most commonly detected in the brain, skeletal muscle, subcutaneous tissue, or eye> Clinical presentation of cysticercosis depends on the number and location of cysticerci as well as the extent of associated inflammatory responses or scarring.> Neurologic manifestations are the most common. Seizures are associated with inflammation surrounding cysticerci in the brain parenchyma. These seizures may be generalized, focal, or Jacksonian.> Hydrocephalus results from obstruction of cerebrospinal fluid (CSF) flow by cysticerci and accompanying inflammation or by CSF outflow obstruction from arachnoiditis.> Signs of increased intracranial pressure, including headache, nausea, vomiting, changes in vision, dizziness, ataxia, or confusion, are often evident.